Elastomers except POLYETHER are
1. Hydrophilic
2. Hydrophobic
3. Water loving impression materials
4. Potassium alginates

Correct answer: 2. Hydrophobic